True about paracoccidiodomycosis is
1. Also known as North American blastomycosis
2. Posaconazole is the treatment of choice
3. Mickey mouse appearance on HPE
4. Not a Dimorphic fungus

Correct answer: 3. Mickey mouse appearance on HPE

Explanation: Mickey mouse appearance or pilot wheel appearance seen in paracoccidioidomycosis.